In congenital junctional epidermolysis bullosa , defect is seen in?
1. Laminin 5
2. Collagen type 7
3. Collagen 4
4. Collagen 3

Correct answer: 1. Laminin 5

Explanation: EB comprises a group of genetically determined skin fragility disorders characterized by blistering of the skin and mucosae following mild mechanical trauma. Congenital epidermolysis bullosa of 3 types: 3 types Defect 1. Epidermolysis Bullosa Simplex 2. Epidermolysis Bullosa Junctional 3. Epidermolysis Bullosa Dystrophicans K5 / 14Q LamininQ Collagen-7Q Cogentinal is DIF Negative because no antibodies. Acquired epidermolysis bullosa: Ab against NCD (non collagenous domain) of Collagen 7 therefore DIF Positive